In cervical spondylosis, the disc space narrowing is most often evident on x-ray at
1. C3-C4
2. C4-C5
3. C5-C6
4. C6-C7

Correct answer: 3. C5-C6

Explanation: Cervical spondylosis is a degenerative condition of the cervical spineDegeneration of disc results in the reduction of disc space and peripheral osteophyte formation. The posterior intervertebral joints get secondarily involved and generate pain in the neck. The osteophytes impinging on the nerve roots give rise to radicular pain in the upper limb.Cervical spondylosis occurs most commonly in the lowest three cervical intervertebral joints (the commonest is at C5-C6).Maheswari 5th edition PG 297